Which of the following is increased in hemophilia A:
1. PT
2. aPTT
3. PT and aPTT
4. None

Correct answer: 2. aPTT

Explanation: An isolated abnormal prothrombin time (PT) suggests Factor VII deficiency, whereas a prolonged activated partial thromboplastin time (aPTT) indicates most commonly hemophilia or Factor XI deficiency.